Feature of post ovulatory endometrium on ultrasound is:
1. Single hyperechoic thin line
2. Three line sign
3. Prominent halo
4. Prominent posterior enhancement

Correct answer: 4. Prominent posterior enhancement

Explanation: Ans. is d, i.e. Prominent posterior enhancementRef: Transvaginal Ultrasound by Melvin G. Dodson 1st/ed, p86This is a very important QuestionIMPORTANT: The appearances of endometrium on transvaginal ultrasound during different stages of normal menstrual cycle has been summarized here.A. Just after menstruation (days 3-7)Single hyperechoic thin lines (central endometrial echo)B. At the time of ovulationHalo presentRelatively thin anterior posterior endometrial thickness (<6mm)No posterior enhancementQThree line sign.Q/Trilaminar appearanceC. Luteal phaseMaximum endometrial thicknessHyperechoic endometriumLoss of haloQLoss of three line signQProminent posterior enhancementQ